The most liberal rule regarding criminal responsibility of an insane person is ______
1. Mc naughten's rule
2. Durham's rule
3. Curren's rule
4. Federal rule

Correct answer: 2. Durham's rule

Explanation: Durhams rule or product rule was too broad that it was repealed later